The tests that may help to know the occurrence of ovulation in a women include all except
1. USG
2. Levels of progesterone
3. Temperature changes
4. Levels of oestradiol

Correct answer: 4. Levels of oestradiol

Explanation: Test for Ovulation Cervix mucus changes Basal body temperature increases during ovulation by 0.5o F Vaginal cytology Serum progesterone Endometrial biopsy TVS - to see follicular rupture monitoring Urinary LH kit Diagnostic Laparoscopy